Which is not true about PBC
1. No increase in risk of HCC
2. Often asymptomatic
3. Elevated IgM
4. Positive anti-mitochondrial antibody

Correct answer: 1. No increase in risk of HCC

Explanation: Patients with PBC have an increased risk of hepatocellular carcinoma compared to the general population, as is found in other cirrhotic patients. In patients with advanced disease, one series found an incidence of 20 percent in men and 4 percent in women Complications of PBC can be related to chronic cholestasis or cirrhosis of the liver. Chronic cholestasis leads to osteopenic bone disease and osteoporosis, alongside hyperlipidaemia and vitamin deficiencies. Ref : Internet sources (wiki)